Which of the following condition has increased risk of malignancy -
1. Metaplasia
2. Dysplasia
3. Hyperplasia
4. All

Correct answer: 4. All

Explanation: Ans. is 'a' i.e., Metaplasia; 'b' i.e., Dysplasia; 'c' i.e., Hyperplasia Nonhereditory predisposing conditions o As we know, cell proliferation is involved in neoplastic transformation. o The following conditions predispose to malignancy as there is increased cellular proliferation in these conditions-. 1. Regeneration About 80% of HCCs arise in cirrhotic livers, which are characterized by active parenchymal regeneration. 2. Hyperplasia Endometrial hyperplasia can transform into endometrial carcinoma. 3. Dysplasia Can give rise to C1N and then invasive carcinoma. 4. Metaplasia As occur with cigarette in bronchial mucosa and can transform in bronchogenic carcinoma. 5. Chronic Inflammation Chronic inflammatory reactions result in increased production of cytokines, which may stimulate the growth of transformed cells, e.g. colonic Precancerous conditions carcinoma in ulcerative colitis (inflammatory bowel disease). o Certain non-neoplastic disorders that may eventually become malignant, e.g. Chronic atrophic gastritis in pernicious anemia. 3. Chronic ulcerative colitis. Solar keratosis of skin. 4. Leukoplakia of oral cavity, vulva, and penis.